Billroth's cord is present in which part of spleen
1. White pulp
2. Red pulp
3. Both
4. Capsule

Correct answer: 2. Red pulp

Explanation: The Cords of Billroth (also known as splenic cords or red pulp cords) are found in the red pulp of the spleen between the sinusoids, consisting of fibrils and connective tissue cells with a large population of monocytes and macrophages. Ref - pubmed.com